A pt. Ramu presents with hematuria for many days.On investigations he is found to have renal calculi, calcifications in the wall of urinary bladder and small contracted bladder; most probable cause is -
1. Schistosomiasis
2. Amyloidosis
3. Tuberculosis
4. Ca urinary bladder

Correct answer: 1. Schistosomiasis